Vitreous attachment to the retina is strongest at
1. Ora serrata
2. Posterior pole
3. Superotemporal retina
4. Near the fovea

Correct answer: 1. Ora serrata

Explanation: (Refer: AK Khurana Comprehensive Ophthalmology, 6th edition, pg no. 264) Vitreous is attached anteriorly to the lens (Hyaloid capsular ligament of Wieger) and ciliary epithelium in front of the ora serrata. The part of vitreous about 4mm across the ora serrata is known as the "base of vitreous" where the attachment is strongest. Posteriorly vitreous is attached to the edge of the optic disc and macula lutea (foveal region) forming a ring-shaped structure around them